A neonate born to infected hepatitis-B mother, should be treated with:
1. Isolation
2. Immunoglobulins
3. Hepatitis-B-vaccine
4. Immunoglobulins and hepatitis-B-vaccine

Correct answer: 4. Immunoglobulins and hepatitis-B-vaccine

Explanation: D. Immunoglobulins and hepatitis-B-vaccine(Ref: Nelson's 20/e p 1942-1952)"Infants born to HbsAg positive mothers should receive both Hep B Ig and Hep B vaccine at separate sites within 12 hours of birth, followed by 2nd and 3rd dose of vaccine at 1 and 6 months.